Treatment of shaft femur fracture in a 3 years old boy?
1. Gallow's traction
2. Russel traction
3. Intramedullary nailing
4. Plating

Correct answer: 2. Russel traction

Explanation: Ans. is 'b' i.e., Russel traction